Placenta previa risk increases with the following except -
1. Contraceptive use
2. Higher order of pregnancy
3. Maternal age >35 yrs
4. Multiparity

Correct answer: 1. Contraceptive use

Explanation: Ans. is 'a' i.e., Contraceptive use Placenta PreviaBrowne's classification for placenta previaType 1LateralPlacenta dipping into the lower segment but not reaching upto the os.Type 2MarginalPlacental edge reaches the internal osType 3Incomplete centralPlacenta covers the internal os when closed, but not when fully dilatedType 4CentralPlacenta covers the internal os even when fully dilated.Risk factorso Previous history ofplacenta previa (12 times more risk) -most important risk factor.o Multiparity and increased maternal age.o H/O any previous uterine surgery (4 time more risk).o Previous uterine currettage.o Increased placental size as in multifetal pregnancy.o Succenturiate lobe.o Smoking.